Which of the following stains can be used to demonstrate fat?
1. Oil red
2. Sudan black B
3. Osmium tetroxide
4. All of the above

Correct answer: 4. All of the above

Explanation: Fat / Lipid can be demonstrated by oil red O, Sudan black B or sudan IV, Osmium tetroxide.